Jet-black spots in the retina are seen in:
1. Retinoblastoma
2. Diabetic retinopathy
3. Retinitis pigmentosa
4. Hypertensive retinopathy

Correct answer: 3. Retinitis pigmentosa

Explanation: Ans. C: Retinitis pigmentosa